Which of the following is not a trace element?
1. Zinc
2. copper
3. Selenium
4. calcium

Correct answer: 4. calcium

Explanation: Definition of trace elements : Elements present at concentrations of mg/dl in body fluids and mg/kg in tissues are referrd to as trace elements . Calcium reference range in blood : 8.6 - 10.3 mg/dl. Teitz textbook of clinical biochemistry, chapter Vitamins and trace elements.